Pheochromocytoma is the disease of:
1. Pituitary gland
2. Adrenal medulla
3. Pancreas
4. Adrenal cortex

Correct answer: 2. Adrenal medulla

Explanation: b. Adrenal medulla(Ref: Nelson's 20/e p 2227-2729, Ghai 8/e p 525)Pheochromocytoma is a neoplasms of chromaffin cells in medulla that release catecholamines.